Most common cause of infection due to catheter in urinary tract ?
1. E coli
2. Coagulase negative staphylococci
3. Staph aureus
4. Pseudomonas

Correct answer: 1. E coli

Explanation: Ans. is 'a' i.e., E coli "E coli cause 80% of acute UTI in patients without catheterization". "E. coil is the most common cause of catheter associated UTI too".